Which of the following blotting technique is used to detect DNA?
1. Western blot
2. Southern blot
3. Eastern blot
4. Northern blot

Correct answer: 2. Southern blot

Explanation: Southern blot is used to detect DNA Northern blot is used to detect RNA Western blot is used to detect proteins.